Which of the following is not a feature of dequervan's disease?
1. Autoimmune etiology
2. Elevated levels of ESR
3. Spontaneous regression
4. Painful enlargement of thyroid

Correct answer: 1. Autoimmune etiology

Explanation: De quervains thyroiditis is not of autoimmune etiology. It occurs several weeks following a viral illness with a prodrome of generalized myalgia, pharyngitis, low grade fever and fatigue. Viruses involved in causing this includes mumps, coxsackie, influenza, adeno virus and echo virus. Ref: Ultrasound of the Thyroid and Parathyroid Glands By Robert A. Sofferman, Page 86; Acute Endocrinology: From Cause to Consequence By Greet Van Den Berghe, Page 10